All are malignant tumors, except:
1. Chloroma
2. Fibromatosis
3. Askin's tumor
4. Liposarcoma

Correct answer: 2. Fibromatosis

Explanation: * Fibromatosis are a group of fibroblastic proliferations. *They are locally aggressive, they do not metastasize.